Advantage of minimally invasive surgery over open surgery are all except
1. Wide/better field of vision
2. Less operative time
3. Less post - operative pain
4. Less post operative morbidity

Correct answer: 2. Less operative time

Explanation: Answer- B. Less operative timeDecrease in wound sizeReduction in wound infection, dehiscence, bleeding, herniation and nerve entrapmentDecrease in wound painImproved mobilityDecreased wound traumaDecreased heat lossImproved vision